Which of the following is the classical triad of Budd-Chiari syndrome?
1. Fever, jaundice, abdominal pain
2. Fever, ascites, jaundice
3. Hepatomegaly, abdominal pain, ascites
4. Abdominal pain, jaundice, hepatomegaly

Correct answer: 3. Hepatomegaly, abdominal pain, ascites

Explanation: Classical triad of Budd - Chiari syndrome is Ascites Hepatomegaly (Mnemonic - AsHA) Abdominal pain Etiology of Budd - Chiari syndrome: Hepato-venous outflow obstruction caused by Hepatic venous Thrombosis /IVC obstruction Acutely obstruction results in tender hepatomegaly. Chronically liver is atrophied but caudate lobe will be hypertrophied IOC for diagnosis - venography TOC in hepatic failure - liver transplantation TOC in Hepatic vein thrombosis - shunt - preferred shunt is side to side portocaval shunt